Holocrine secretion is seen in...gland-
1. Salivary
2. Mammary
3. Sebaceous glands
4. Gastric

Correct answer: 3. Sebaceous glands

Explanation: Ans-Cimage A is holocrine type, B is merocrine type and C is apocrine type gland.